'PeL-Ebstein fever' is seen in
1. Hodgkins lymphoma
2. Non-hodgkins lymphoma
3. Lymphogranuloma venereurn
4. Infectious mononucleosis

Correct answer: 1. Hodgkins lymphoma